Drug chemically related to penicillins is
1. Tetracycline
2. Sulphonamide
3. Cephalosporin
4. Lincomycin

Correct answer: 3. Cephalosporin